Toll like receptors, recognize bacterial products and stimulates immune response by:
1. Perforin and granzyme mediated apoptosis
2. FADD ligand apoptosis
3. Transcription of nuclear factor mediated by NF-kB which recruits cytokines
4. Cyclin

Correct answer: 3. Transcription of nuclear factor mediated by NF-kB which recruits cytokines

Explanation: Toll-like receptors They are membrane proteins that recognize a variety of microbe-derived molecules and stimulate innate immune responses against the microbes. These derive there name due to homology to a Drosophila protein called 'Toll'. The Toll-like receptors are expressed on many immune cells of the body. Signaling by Toll-like receptors results in the activation of transcription factors, notably NF-kB and AP-1.